Finkelstein test is done for:
1. Compound palmar ganglia
2. Carpal tunnel syndrome
3. De-quervain tenosynovitis
4. Tennis elbow

Correct answer: 3. De-quervain tenosynovitis

Explanation: Ans. (c) De-quervain tenosynovitisMaheshwari 5th ed. / 303* Finkelsteins test is one way to determine if there is tenosynovitis in the abductor pollicis longus and extensor pollicis brevis tendons of the wrist. These two tendons belong to the first dorsal compartment.# Finkelstein's test is used to diagnose De-Quervairis tenosynovitis in people who have wrist pain.# To perform the test, the examining physician grasps the thumb and the hand is ulnar deviated sharply. If sharp pain occurs along the distal radius it is indicative of teno-synovitis.